Which of the following bone reaches adult size before birth
1. Ossicles
2. Mastoid
3. Maxilla
4. Pariental

Correct answer: 1. Ossicles

Explanation: The petromastoid part of the neonatal temporal hone encloses the internal ear, middle ear and mastoid antrum, all parts of which are full adult size at birth. But the mastoid process is absent and the stylomastoid foramen is near the lateral surface of the skull.